In hypotensive patients, Induction of anaesthesia should be done with:
1. Propofol
2. Ketamine
3. Thiopentone
4. Any of the above

Correct answer: 2. Ketamine

Explanation: Ketamine produce a state of Dissociative anaesthesia ketamine increase systolic and diastolic blood pressure, increases heart rate and intracranial tension. Ketamine is good as induction agent for hypotensive patient.